A 50 years old female is admitted with abdominal pain and anuria. Radiological studies revealed: bilateral impacted ureteric stones with hydronephrosis. Urine analysis showed RBCs with pus cells in urine. Serum creatinine level was 16 mg/dL and urea level was 200 mmol/L. Which of the following should be the immediate treatment?
1. Hemodialysis
2. 'j' stent drainage
3. Lithotripsy
4. Ureteroscopic removal of stones

Correct answer: 2. 'j' stent drainage

Explanation: Ans. (b) 'j' stent drainage* Prompt drainage of the obstructed urinary system by double) stent is the TOC in patients with renal failure.* Hemodialysis is advised only if the renal recovery is prolonged.